All of the following are features of Millard Gubler Syndrome, Except :
1. 5th cranial nerve palsy
2. 6th cranial nerve palsy
3. 7th cranial nerve palsy
4. Contralateral hemiplegia

Correct answer: 1. 5th cranial nerve palsy

Explanation: Answer is A (5th Cranial nerve palsy): Anatomic Basis of Neurologic Diagnosis (Thieme) 2009/272 5th cranial nerve palsy is not a feature of Millard Gubler Syndrome Millard Gubler Syndrome (Ventral Pons Syndrome) Ipsilateral VhIth Nerve palsy Ipsilateral VIth Nerve Palsy Contralateral Hemiplegia Millard-Gubler syndrome Millard-Gubler syndrome results from a lesion in the ventral pons and presents with the following three charachteristic signs and symptoms: Ipsilateral facial paralysis (due to interruption of the facial nerve) Ipsilateral lateral rectus palsy (due to interrusption of the abducens nerve) Contralateral hemiplegia (due to interruption of the corticospinal tract)